Which of the following is TRUE about Prions?
1. Defect in folding of proteins
2. Are virus encoded
3. Contain a single nucleic acid
4. Sensitive to nucleases

Correct answer: 1. Defect in folding of proteins

Explanation: Prions are infectious particles that are composed solely of protein (i.e., they contain no detectable nucleic acid). The cellular form of the prion protein (PrPc) is encoded by the host's chromosomal DNA. There is a change in the conformation from the normal alpha-helical form (known as PrPC, or prion protein cellular) to the abnormal beta-pleated sheet form (known as PrPSC, or prion protein scrapie) is the important modification. The abnormal form then recruits additional normal forms to change their configuration, and the number of abnormal pathogenic particles increases. Prions are much more resistant to inactivation by ultraviolet light and heat than are viruses. They are remarkably resistant to formaldehyde and nucleases. However, they are inactivated by hypochlorite, NaOH, and autoclaving. Hypochlorite is used to sterilize surgical instruments and other medical supplies that cannot be autoclaved. Ref: Levinson W. (2012). Chapter 28. Structure. In W. Levinson (Ed), Review of Medical Microbiology & Immunology, 12e.